Commonest metal causing skin hypersensitivity?
1. Brass
2. Copper
3. Iron
4. Nickel

Correct answer: 4. Nickel

Explanation: Metal dermatitis is most frequently caused by nickel, chromates and mercury. Nickel is naturally present in food (green leafy vegetables) and also present in jewellery, household equipment, wearing apparel and industry.